Azygous vein drains
1. Into superior vena cava
2. Anterior to costochondral junction
3. Oesophagus
4. Directly into right atrium

Correct answer: 1. Into superior vena cava

Explanation: The azygous vein is formed by the confluence of the Lumbar azygous vein, Right ascending lumbar vein and right subcostal vein. It passes superiorly through the aortic aperture, posterior to the right diaphragmatic crus and anterior to the twelth vertebral body. The azygos vein transports deoxygenated blood from the posterior walls of the thorax and abdomen into the superior vena cava vein.